Not a grievous injury:
1. Multiple scars of face
2. Fracture of femur
3. Emasculation
4. Contusion of breast

Correct answer: 4. Contusion of breast

Explanation: Ans. D: Contusion of breast Sec 320 IPC: any of the following injures are grievous? Emasculation Permanent privation of sight or either eye Permanent privation of Hearing or either ear Permanent privation of any member or joint Permanent disfiguration of the head or face Destruction or permanent impairing of the power of any member or joint Fracture or dislocation of a bone or tooth Any hurts which endangers life, or which causes the victim to be in severe bodily pain or unable to follow his ordinary pursuits for a period of twenty days